Helicobacter pylori is found in greatest number in:
1. Oesophagus
2. Gastric Antrum
3. Caecum
4. Oral cavity

Correct answer: 2. Gastric Antrum